A lower Segment Caesarean Section (LSCS) can be carried out under all the following techniques of anesthesia, except –
1. General anesthesia
2. Spinal anesthesia
3. Caudal anesthesia
4. Combined spinal epidural anesthesia

Correct answer: 3. Caudal anesthesia

Explanation: Either epidural or spinal anaesthesia is preferred. A combined spinal and epidural technique is also common. If there is massive bleeding, cord prolapse or fetal distress, general anaesthesia by rapid sequence induction is given.